All are malignant tumors except
1. Chloroma
2. Fibromatosis
3. Askin's tumor
4. Liposarcoma

Correct answer: 2. Fibromatosis

Explanation: Ref Robbins 7/p770; Harrison 16/e p633;9/e p1221_1222 Fibromatosis are a group of fibroblastic proliferation through they are locally aggressive, they do not metastasize superficial and deep fibromatosis Plamar ,plantar,penial fibromatosis are superficial type,